An athletic teenage girl complains of anterior knee pain on climbing stairs and on getting up after prolonged sitting. Which of the following is the most likely diagnosis?
1. Chondramalacia Patellae
2. Plica Syndrome
3. Bipartite Patella
4. Patellofemoral osteoarthritis

Correct answer: 1. Chondramalacia Patellae

Explanation: CAUSES: Mechanical overload of the patellofemoral joint. a) Malcongruence - patellofemoral surfaces b) Malalignment -- extensor mechanism - weakness of vastus medialis ingle injury -- damage to articular surface CLINICAL FEATURES * Introspective teenage girl or athletic young adult * Flat foot / Knock kneed athletes * Spontaneous Pain in front of knee/ beneath the knew cap * Maybe h/o recurrent displacements/injury * Aggravated by activity/climbing down stairs/standing after prolonged sitting with knees flexed * Both knees * Swelling-give way-catching(not true locking) * Grating/grinding sensation when knee is extended Conservative Rx * Reassurance * Ice Application * Physiotherapy * Avoid stressful activities * Stretching and strengthening medial quadriceps in 15 mins 4 times/day -- Quad sets (bicycling, pool running, swimming flutter kick * Aspirin / Ibuprofen / Naproxen * Support for a valgus foot STEROIDS BEST AVOIDED ref : maheswari 9th ed